A 21-year-old man was involved in a motorcycle accident, resulting in destruction of the groove in the lower surface of the cuboid bone. Which of the following muscle tendons is most likely damaged?
1. Flexor hallucis longus
2. Peroneus brevis
3. Peroneus longus
4. Tibialis anterior

Correct answer: 3. Peroneus longus

Explanation: The groove in the lower surface of the cuboid bone is occupied by the tendon of the peroneus longus muscle. The flexor hallucis longus tendon occupies in a groove on the posterior surface of the body of the talus and a groove on the inferior surface of the calcaneus during its course. The tibialis posterior muscle tendon occupies in the medial malleolar groove of the tibia. Other muscle tendons are not in the groove of the tarsal bones.